Kussmaul's sign is NOT seen in
1. Restrictive cardiomyopathy
2. Constrictive pericarditis
3. Cardiac tamponade
4. RV infarct

Correct answer: 3. Cardiac tamponade

Explanation: Answer is C (Cardiac tamponade) most probably Kussmaul's sign is absent in cardiac tamponade. Presence of Kussmaul's sign in cardiac tamponade suggests an organizing process and presence of epicardial constriction (constrictive pericarditis) in addition to effusion. Kussmaul's sign is not a feature of isolated cardiac tamponade. Kussmaul's sign is absent inisolated cardiac tamponade It is frequent with constrictive pericarditis and R.V.MI. Not so frequent in R.C.MP. but definitely present Rare (absent) in Cardiac Tamponade